A 5 year old child develops non blanching macules, papules and petecheal hemorrhage on lower extremities, mild abdominal pain, and skin biopsy showed IgA deposition along blood vessels and perivascular neutrophilic infiltrate. Most probably diagnosis is
1. Wegner's granulomatosis
2. Poly airitis nodosa
3. Henoch Schonlein purpura
4. Kawasaki disease

Correct answer: 3. Henoch Schonlein purpura

Explanation: C.i.e. Henoch Schonlein purpura